Regarding unicornuate uterus true is
1. Defect in fusion of mullerian ducts
2. Single uterus with 2 fallopian tubes
3. One duct is completely absent
4. Best reproductive outcome

Correct answer: 3. One duct is completely absent

Explanation: Unicornuate uterus is not defect in fusion of mullerian ducts, but is due to complete absence of mullerian duct. It has worst reproductive outcome.